Which of the following artery is likely to be involved in 3rd cranial nerve lesion?
1. Anterior communicating
2. Posterior communicating
3. Posterior cerebral
4. Anterior cerebral

Correct answer: 2. Posterior communicating

Explanation: Answer is B (Posterior Communicating Artery): The occulomotor nerve (CNIII) courses in close relationship to the posterior communicating artery and is frequently compressed by an enlarging aneurysm of the posterior communicating artery.